Bertillon system is for?
1. Anthropometry
2. Dactylography
3. Dentition
4. Nuclear sexing

Correct answer: 1. Anthropometry

Explanation: Bertillon's system: After 21 years Anthropometric system based on physical measurement of specified parts of the bodyQ.